All are true estrogen except
1. Causes cholestasis
2. Used in treatment of gynaecomastia
3. Used in hormone replacement therapy
4. Increased risk of breast cancer

Correct answer: 2. Used in treatment of gynaecomastia

Explanation: Refer KDT 7/e p 309 Estrogens can result in suppression of libido,gynaecomastia and feminization as adverse effects when given to males